Increased Calcium with Decreased Phosphate levels are seen in:
1. Primary hyperparathyroidism
2. Secondary hyperparathyroidism due to Vitamin D deficiency
3. Malignancy with lytic bone lesions
4. Osteoporosis

Correct answer: 1. Primary hyperparathyroidism

Explanation: Answer is A (Primary Hyperparathyroidism): Serum Calcium with Decreased Serum Phosphate levels are typical of Primary Hyperparathyroidism